Upper 2nd premolar’s occlusal view
1. Ovoid > Hexagonal
2. Hexagonal > Ovoid
3. Ovoid always
4. Hexagonal always

Correct answer: 1. Ovoid > Hexagonal